Which of the following actions of aspirin is manifested at the lowest dose ?
1. Analgesic
2. Antipyretic
3. Anti-inflammatory
4. Antiplatelet aggregatory

Correct answer: 4. Antiplatelet aggregatory